Hepatitis A vaccine available -
1. Live attenuated
2. Kilted (Inactivated)
3. Both live and inactivated
4. Subunit vaccine

Correct answer: 3. Both live and inactivated

Explanation: Ans, is 'c' i.e., Both live and inactivated o Two types of hepatitis A vaccines are usedFormaldehyde inactivated vaccineLive attenuated vaccineLive 'attenuated' vaccinesKilled 'inactivated' vaccinesBCGOPV (Sabin - Oral polio vaccine)Measles vaccineMumps vaccineRubella vaccineYellow fever vaccineTyphoralHepatitis - APertussis1PV (Salk - Inactivated polio vaccine)Rabies vaccineCholera vaccineMeningococcal vaccineHepatitis B vaccineTyphim - Vi vaccineHepatitis - A